Most common malignant cancer of conjunctiva
1. Squamous cell carcinoma
2. Basal cell carcinoma
3. Dermoid
4. Papilloma

Correct answer: 1. Squamous cell carcinoma

Explanation: Ans. (a) Squamous cell carcinomaRef: Abeloff's clinical oncology p. 1019SCC is the most common malignancy of the conjunctiva with an incidence of 0.025 to 3.5/100000 population.